Gas gangrene is
1. Caused by Clostridium perfringens.
2. Gas and smell are characteristic.
3. Antibiotic prophylaxis is essential when performing amputations to remove dead tissue.
4. All of the above

Correct answer: 4. All of the above